Which of the following is an antagonist of a peptide and is used to reduce chemotherapy induced nausea and vomiting?
1. Atrial natriuretic peptide
2. Aprepitant
3. Bradykinin
4. Enalapril

Correct answer: 2. Aprepitant

Explanation: This drug is an antagonist of substance p.it is particularly useful in delayed phase of chemotherapy induced vomiting.(ref Goodman and Gilman 11/e p1005)